True about Hirschsprung’s disease is
1. Involved segment of intestine is dilated
2. Non passage of meconium
3. Target sign
4. All of the above

Correct answer: 2. Non passage of meconium

Explanation: Hirschsprung’s disease presents with non passage of stools in infants. Involved segment is not dilated Target sign is seen in intusussuption.